True about prion protein diseases is all, except -
1. Myoclonus is seen in 10% of the patients
2. Caused by infectious protein
3. Brain biopsy is diagnostic
4. Commonly manifests as dementia

Correct answer: 1. Myoclonus is seen in 10% of the patients

Explanation: Most patients (~90%) with Cruetzfeldt-Jacob Disease (CJD) exhibit myoclonus that appears at various times throughout the illness.
Unlike other involuntary movements, myoclonus persists during sleep. Startle myoclonus elicited by loud sounds or bright lights is frequent